ADHD in childhood can lead to what in future :
1. Antisocial behaviour
2. Alcoholism
3. Intellectual changes
4. All

Correct answer: 4. All

Explanation: A i.e. Antisocial behaviour; B i.e. Alcoholism; C i.e. Intellectual changes Overactivity is the first symptom to remit & distractibility is the last Most patients, however, undergo partial remission & are vulnerable to:? Antisocial behaviourQ Substance abuseQ Mood disorder Learning problems & lower educational attainments. Impulsive & accident prone Conduct disorder (in children).